Binding of proteins to DNA is regulated by
1. Copper
2. Zinc
3. Selenium
4. Nickle

Correct answer: 2. Zinc